Reddish firm swelling which bleeds on touch in a 20 years old female is:
1. Hemangioma
2. Fibroadenoma
3. Pyogenic granuloma
4. Lipoma

Correct answer: 3. Pyogenic granuloma

Explanation: Reddish firm swelling which bleeds on touch in a 20 years old female is pyogenic granuloma. Pyogenic granuloma is a misnomer for an exuberant outburst of highly vascular granulation tissue at the site of previous relatively trivial trauma. These lesions are friable, bleed easily, and may grow rapidly. They respond to curettage or simple excision. They usually occur on the fingerprints.